The process which occurs over cytidine residuces and often results in gene inactivation is
1. Gene rearrangement
2. Pseudogene formation
3. Histone acetylation
4. DNA Methylation

Correct answer: 4. DNA Methylation

Explanation: Mnemonic: DNA Methylation mates the DNA Mute.
Refer the byte " Post transcriptional modification"